Resolution provided by light microscope is:
1. 200 nm
2. 20 nm
3. 0.2 nm
4. 2.0 nm

Correct answer: 1. 200 nm

Explanation: Resolving Power are :
Light microscope – 0.25 um – 0.3 um – 200-300 nm
Electron microscope – 2-10 A = 0.2 – 1 nm